Thermoplastisized GP injection technique is indicated for obturation of:
1. Internal resorption.
2. Perforation.
3. Complex root anatomy.
4. All of the above.

Correct answer: 4. All of the above.

Explanation: Thermo plasticized GP injection technique: 
E.g. OBTURA 3 (cooling to temperature of 71 ºC) (same for OBTURA 2)  
Disadvantage: voids can be seen if vertical compaction not combined. 
Indication: Obturation for 

Internal resorption 
Perforation 
Complex root anatomy (most important) 
Open apex (obturation done with apical barrier).